Kaposi sarcoma is characterized by all of the following except:
1. Usually of the four types
2. Skin lesion are sparse in African type
3. Lymphadenopathy is an essential feature in the classical type
4. AIDS-associated is commoner in homosexual

Correct answer: 3. Lymphadenopathy is an essential feature in the classical type

Explanation: Ans. C: Lymphadenopathy is an essential feature in the classical type Kaposi sarcoma is common in patients with AIDS; indeed, its presence is used as a criterion for diagnosing AIDS. There are four types of Kaposi sarcoma: The classic type/chronic KS/ European KS affects elderly men of Mediterranean and Middle European descent and in men in Sub-Saharan Africa. It presents with multiple red to purple skin plaques or nodules, usually in the distal lower extremities; these slowly increase in size and number and spread more proximally. Classic Kaposi sarcoma is rare and unassociated with HIV infection. It most often arises in middle-aged to elderly men of Mediterranean or Jewis descent (less than 10% are women), particularly if they come from a rural environment. They have a higher than expected rate of diabetes mellitus HIV-associated/epidemic Kaposi sarcoma mainly affects men who have sex with men. Endemic/ African/ Lymphadenopathic Kaposi sarcoma arises in some parts of Africa in children and young adults. It is not associated with HIV. Skin lesion are sparse. Iatrogenic/transplant associated Kaposi sarcoma is due to drug treatment causing immune suppression in the setting of solid organ transplantation.